Glucagon is secreted by:
1. Alpha cells of pancreas
2. Beta cells of pancreas
3. Gamma cells of pancreas
4. None of the above

Correct answer: 1. Alpha cells of pancreas